The most common form of dissociation hysteria is -
1. Fugue
2. Amnesia
3. Multiple perosonality
4. Somnambulism

Correct answer: 2. Amnesia

Explanation: Dissociative amnesia is the most common type of dissociative disorder.